The best drug for treatment of IUGR is:
1. Aspirin
2. Nitric oxide donors
3. Anti oxidants
4. None of the above

Correct answer: 4. None of the above

Explanation: None of the above